Category A bioterrorism agents are-a) Ebolab) Yersiniac) Clostridium botulinumd) Rickettsiae) Cholera
1. abc
2. bcd
3. abe
4. acd

Correct answer: 1. abc